All are caused by RNA viruses, EXCEPT:
1. HIV
2. Dengue
3. Herpangina
4. Fifth disease

Correct answer: 4. Fifth disease

Explanation: Fifth disease also known as erythema infectiosum is caused by erythovirus (Parvovirs) B19. Parvoviruses are linear, non segmented single stranded DNA virus. The various manifestations of human parvovirus B19 infection is; Erythema infectiosum (fifth disease) Polyarthritis Aplastic crisis Chronic anemia Congenital infection (anemia or hydrops fetalis) Ref: Oski's Pediatrics: Principles And Practice, edited by Julia A. MacMillan, Ralph David Feigin, 4 th Edition, Page 1230